Which one of the following factors is labelled as cytokine in the pathogenesis of systemic inflammatory response syndrome (SIRS) ?
1. Nitric oxide
2. Complements
3. Leukotrienes
4. Tumor Necrosis factor

Correct answer: 4. Tumor Necrosis factor

Explanation: Ans. is 'd' i.e., Tumor Necrosis factor